Following is prevented by killed vaccine ?
1. Mumps
2. Measles
3. Rabies
4. Rubella

Correct answer: 3. Rabies

Explanation: Ans. is 'c' i.e., Rabies